S, ejection click & severe pulmonary stenosis relation is-
1. In severe pulmonary stenosis gap increases
2. In severe pulmonary stenosis gap reduces
3. In severe pulmonary stenosis no change
4. In severe pulmonary stenosis ejection cttek comes_before

Correct answer: 2. In severe pulmonary stenosis gap reduces

Explanation: Mechanism of inspiratory softening of the pulmonary ejection click. Left-sided ejection clicks occur in the presence of a dilated aorta or aortic valve abnormalities. Ejection clicks occur with flexibly stenotic aortic valves and with nonstenotic bicuspid aortic valves.gap reduces in severe pul monary stenosis Ref Davidson 23rd edition pg 453